Full blown Immunodeficiency syndrome is ?
1. High viral titres with low CD 4 count
2. Low viral titres with low CD 4 count
3. Low viral titres with high CD 4 count
4. High viral titres with high CD 4 count

Correct answer: 1. High viral titres with low CD 4 count

Explanation: Ans. is 'a' i.e.,viral titres with low CD 4 count